Severe Hypothermia in a neonate is temperature?
1. < 35 C
2. < 34 C
3. < 33 C
4. < 32 C

Correct answer: 4. < 32 C

Explanation: ANSWER: (D) < 32 CREF: Nelson 17th edition page 323In neonates normal axillary temperature is 36.5-37.5degC. In hypothermia the temperature is below 36.5 degree centigrade.Compensatory mechanisms will usually attempt to restore normothermia at body temperatures above 32deg C; below this temperature, thermoregulation fails and spontaneous rewarming will not occur. Moderate hypothermia (core temperature 32-35degC) increases oxygen consumption owing to shivering thermogenesis and increased sympathetic tone. Below 32degC (severe hypothermia), shivering ceases and the cellular metabolic rate